Plastic wrapper of surgical syringe should be discarded in ?
1. Blue bag
2. Black bag
3. Yellow bag
4. Red bag

Correct answer: 2. Black bag

Explanation: Remember in the question it is asked the wrapper of syringe, which will constitute a domestic garbage and will go to black bag whereas syringe if asked would go to blue bag.